Which is non essential mineral
1. Sodium
2. Manganese
3. Iron
4. Lead

Correct answer: 4. Lead

Explanation: Lead is non-essential toxic mineral.